Guddu, a 5-year-old female was brought to the emergency with fever, headache and confusion. A provisional diagnosis of bacterial meningitis was made. The baby developed a severe allergic reaction to penicillin aroud six months back. She was admitted and intravenous antibiotics were started. Few days later her investigations revealed as: Hemoglobin 6.0 g/L Erythrocyte count 1.2 x 106/mm3 Platelets 60000/mm3 Leukocyte count 1500/mm3 Which of the following is the most likely drug responsible for the above findings?
1. Gentamicin
2. Chloramphenicol
3. Doxycycline
4. Vancomycin

Correct answer: 2. Chloramphenicol

Explanation: The patient's shows decreased erythrocytes, leukocytes, and platelets. It occurs due to suppression of stem cell function in the bone marrow. Chloramphenicol can cause both dose-dependent and dose-independent aplastic anemia. Dose-dependent aplastic anemia associated with chloramphenicol is reversible after the medication is withdrawn. Dose-independent anemia is usually severe and may be fatal.